All of the following cause metabolic headache except:
1. Hypoxia
2. Hypercapnia
3. Hyperglycemia
4. Hyponatremia

Correct answer: 3. Hyperglycemia

Explanation: Hypoxia Causes cerebral vasodilation --> headache. Hyperglycemia Hyperglycemia does not present as headache Hypercapnia Cause cerebral vasodilation and stretching of meninges. Hyponatremia Cerebral edema leads to a headache and seizures.